Small intestinal biopsy is diagnostic in :a) Whipple's diseaseb) Abetalipoproteinemiac) Celiac diseased) Agammaglobulinemia
1. acd
2. bcd
3. abd
4. ab

Correct answer: 3. abd